Which of the following drugs are contraindicated in HOCM (ABE)
1. Verepamil
2. Propanalol
3. Digoxin
4. None of the above

Correct answer: 3. Digoxin

Explanation: Answer is C (Digoxin) Digitalis is contraindicated in hypertrophic obstructive cardiomyopathy (HOCM). Digitalis causes an increase in myocardial contractility, which increases the degree of obstruction in HOCM and worsens the condition.